Two litres of normal saline in 4 hours will stimulate secretion of -
1. Atrial natriuretic peptide
2. IL - 2
3. TNF - alpha
4. Prostaglandins

Correct answer: 1. Atrial natriuretic peptide